Neck of femoral hernia seen at
1. Saphenous opening.
2. Above and medial to pubic tubercle
3. Below and lateral to pubic tubercle
4. Mid inguinal point

Correct answer: 3. Below and lateral to pubic tubercle

Explanation: Ans. (c) Below and Lateral to pubic tubercleRef: Bailey 26th edition Page 959-960* Femoral hernia is neck is formed by femoral ring which is located below and lateral to pubic tubercle.